Earliest drug used in acute angle closure glaucoma
1. Diamox
2. Pilocarpine
3. Atropine
4. DFP

Correct answer: 1. Diamox

Explanation: Ans. is 'a' i.e Diamox (Acetazolamide) As already explained in Nov 99, Acetazolamide is used even earlier than Pilocarpine.